The most common type of elbow dislocation is
1. Anterior medial
2. Posterior medial
3. Antero lateral
4. Postero lateral

Correct answer: 4. Postero lateral